One molecule of B-Carotene gives rise to
1. 1 unit of Vitamin A
2. 2 units of Vitamin A
3. 3 units of Vitamin A
4. 4 units of Vitamin A

Correct answer: 2. 2 units of Vitamin A